Which of the following items in the dental operatory cannot be classified as a semi-critical item:
1. Suction tip
2. Handpiece
3. Endodontic file
4. Water syringe tip

Correct answer: 3. Endodontic file

Explanation: Critical/Non Critical instrument:
Critical: Contact/penetrate/cut tissues e.g. endodontic file, scalpel
Semi Critical: Which touch mucosa BUT donot cut/penetrate tissue e.g. air/water syringe tip, suction tip, handpiece
Non-Critical: Surface disinfection is adequate e.g. X-ray stand, light source